The following condition is not associated with an Anti-phospholipid syndrome -
1. Venous thrombosis
2. Recurrent foetal loss
3. Thrombocytosis
4. Neurological manifestations

Correct answer: 3. Thrombocytosis